Most stable radio-isotope among the following –
1. O –18
2. C – 14
3. P – 32
4. I – 125

Correct answer: 1. O –18

Explanation: O-16,O-17, O -18 are stable radioisotopes of oxygen.
C-12, C-13, are stable radioisotopes of carbon (not C-14).
P-31, is stable radioisotopes of phosphorus (not P-32).
1-125 is radioactive form of iodine (not stable).